IPHS stands for
1. International public health services
2. Indian public health services
3. Integrated public health services
4. Indian public health standards

Correct answer: 4. Indian public health standards

Explanation: Indian Public Health Standards (IPHS) for sub-centers are being prescribed to provide basic promotive, preventive and few curative primary health care services to the community and achieve and maintain an acceptable standard of quality of care.Park 23e pg: 903